Low molecular weight dextran is contraindicated in:
1. Fetal distress syndrome
2. Cerebrovascular accident
3. Electrical burns
4. Thrombocytopenia

Correct answer: 4. Thrombocytopenia

Explanation: Low molecular weight dextran is contraindicated in Thrombocytopenia( low blood platelet count) because it interferes in platelet function. Infusion of LMW Dextran prevent early thrombosis of the small arteries which was subjected to recent operative trauma